Pneumatoceles in chest X-ray in an infant with breathlesness, tachycardia, fever and respiratory failure suggests a diagnosis of:
1. S.aureus
2. Klebsiella
3. Pneumothorax
4. Air embolism

Correct answer: 1. S.aureus

Explanation: Respiratory tract infections caused by S. aureus A) In children, it can cause serious respiratory tract infections in newborns and infants; these infections present as shortness of breath, fever, and respiratory failure. Chest x-ray may reveal pneumatoceles (shaggy, thin-walled cavities). B) In adults, nosocomial S. aureus pulmonary infections are commonly seen in intubated patients in intensive care units. Patients produce increased volumes of purulent sputum and develop respiratory distress, fever, and new pulmonary infiltrates. Distinguishing bacterial pneumonia from respiratory failure of other causes or new pulmonary infiltrates in critically ill patients is often difficult and relies on a constellation of clinical, radiologic, and laboratory findings. MUST KNOW: Community-acquired respiratory tract infections due to S. aureus usually follow viral infections--most commonly influenza. Patients may present with fever, bloody sputum production, and mid lung-field pneumatoceles or multiple, patchy pulmonary infiltrates. Ref: Harrison, Edition-18, Page-1164